28. In cadwell luc operation the nasoantral window is made through:
1. superior meatus
2. Inferior meatus
3. Middle meatus
4. None of the above

Correct answer: 2. Inferior meatus

Explanation: Caldwell-Luc operation is a process of opening the maxillary antrum through canine fossa by sublabial approach and dealing with the pathology inside the antrum. Operation is also called anterior antrostomy as access to maxillary sinus is made through anterior wall of the sinus. Ref : Dhingra 7e pg 469.